Xanthogranulomatous pyelonephritis associated stones are due to infection with?
1. Proteus
2. E coli
3. Pseudomonas
4. Klebsiella

Correct answer: 1. Proteus

Explanation: ANSWER: (A) ProteusREF: Tarascon Pocket Urologica by Pamela Ellsworth page 8"Xanthogranulomatous pyelonephritis is a chronic condition of the kidney resulting in diffuse renal destruction, a grossly enlarged and nonfunctioning kidney associated with nephrolithiasis. It is thought to start with obstruction (stone or sloughed papilla) followed by infection (most commonly Proteus)"